Northern blot is used for the separation of which of the following?
1. mRNA
2. DNA
3. Protein
4. tRNA

Correct answer: 1. mRNA

Explanation: Northern blotting is used to estimate the gene expression estimating the expression of mRNA.